Which of the following congenital malformations can be diagnosed in the first trimester ?
1. Microcephaly
2. Anencephaly
3. Meningocele
4. Encephalocele

Correct answer: 2. Anencephaly

Explanation: CONGENITAL MALFORMATIONS DIAGNOSED IN THE FIRST TRIMESTER Routine ultrasound scan for the diagnosis of congenital anomalies is done in the second trimester But in high risk cases, an early anomaly scan is done to identify major anomalies The congenital anomalies that can be identified in the first trimester are: Acrania - Condition in which the flat bones of the cranial vault are partially or completely absent. It is an early stage of anencephaly. Exencephaly - An early stage of anencephaly in which the brain is located outside the skull Anencephaly - Absence of a major part of the brain, skull and scalp. It is an anomaly that occurs when the rostral end of the neural tube fails to close. Ref : Dutta book of obstetrics 8th Ed